Fan shaped muscle of tongue, which forms the main bulk:
1. Hyoglossus.
2. Genioglossus.
3. Verticalis.
4. Palatoglossus.

Correct answer: 2. Genioglossus.